All true about cephalosporins EXCEPT:
1. Ceftazimide is a 3rd generation cephalosporin
2. Cefoperzone has got antipseudomonal effect.
3. Cefoxitin has got no activity against anaerobes
4. Cephalosporins act by inhibiting cell wall synthesis

Correct answer: 3. Cefoxitin has got no activity against anaerobes

Explanation: This 2nd generation cephalosporin was developed subsequent to the first generation compounds and are more active against gram-negative organisms, anaerobes, but none inhibits P. aeruginosa ESSENTISLS OF MEDICAL PHARMACOLOGY